Most common cause of cholangitis
1. Viral infection
2. CBD stone
3. Surgery
4. Amoebic infection

Correct answer: 2. CBD stone

Explanation: Cholangitis Ascending bacterial infection of the biliary ductal system with obstruction Most common cause of acute cholangitis is choledocholithiasis Most common organism present in the bile in patients with cholangitis : E.coli, Klebsiella pneumoniae, streptococcus faecalis & Bacteroides fragilis Etiology Choledocholithiasis(MC) Benign strictures Biliary enteric anastomotic strictures Cholangiocarcinoma and periampullary cancer Ref: Sabiston 20th edition Pgno :1507